Spread of chicken pox is maximum -
1. After formation of scab
2. Just before and after onset of rash
3. One week before onset of rash
4. During convelescence

Correct answer: 2. Just before and after onset of rash

Explanation: Ans. is 'b' i.e., Just before and after onset of rash o Communicable period (period of maximum infectivitv) in chicken pox is 2 days before to 5 days after onset of rash.Chicken poxo Causative agent- Varicella zoster virus (Herpes simplex type III).o Portal of entry- Respiratory tract or conjuctivao I. P.o Infectious periodo Secondary attack rate is higho Age group- 10-21 days.- 2 days before and 5 days after the onset of rash.- 90%- 5-9 Yrs.o C/Fs - has two stagesPre-emptive stagefever, back pain, malaise, shiveringEruptive stageRash is symmetrical, mostly on flexor surface.Centripetal in distributionMainly On trunk, less common on arms and legPalms and soles are not usually affectedThere is rapid evolution of rashRash is plemorphic, that is, all stages of rash (Papule, vesicle and crusts) may be seen simultaneously.Disease is more severe in adults than in children.